Gastroduodenal artery is a branch of -
1. Common hepatic artery
2. Superior mesenteric artery
3. Abdominal aorta
4. Splenic Artery

Correct answer: 1. Common hepatic artery

Explanation: Ans. is 'a' i.e., Common hepatic artery * Gastroduodenal artery is a branch of Common hepatic artery which is a branch of the coeliac trunk.